What is the the most probable diagnosis of a child who presents with wrhite umbilicated lesions on face?
1. Molluscumcontagiosum
2. Herpes simplex infection
3. Erythema toxicumneonatorum
4. Human pappiloma virus infection

Correct answer: 1. Molluscumcontagiosum

Explanation: Ans. is 'a' i.e., Molluscumcontagiosum o Pearly white umblicated papule on face in children is most commonly seen in Molluscumcontagiosum.Molluscum contagiosumo It is a common viral infection in children. It is caused by pox virus, i.e., Molluscum contagiosum virus. It is characterized by multiple pearly white, dome-shaped papules which are umbilicated centrally. On using a hand lens, many of the papules has a mosaic appearance. Epidermal cells contain eosinophilic intracytoplasmic inclusion bodies (Molluscum or Henderso-Paterson bodies). Autoinoculation can give rise to lesions arranged linearly along line of trauma - pseudoismorphic (pseudokoebner's) phenomenon. M.C. may involve any part of the body -In children face is involved most commonly: Anogenital molluscum contagiosum is a STD.Treatemento Curretage, electrocautery, cryotherapy are simple and effective methods. Imiquimed, a recently introduced immunostimulant, is helpful in patients with multiple lesions and in small children